The ocular hypotensive agent causing apnoea in infants is
1. Latanoprost
2. Betaxolol
3. Timolol
4. Brimonidine

Correct answer: 4. Brimonidine

Explanation: Brimonidine:- * Selective alpha 2 agonist * MOA:- decreases aqeous production & increases the uveoscleral outflow * Neuroprotective Effect Adverse Effects:- Ref:- A K Khurana Comprehensive Ophthalmology 7th edition; pg num:- 469